All of the following are indications of classical cesarean section except:
1. Small breech baby
2. Large baby with transverse lie
3. Leiomyoma in lower pole of uterus
4. Cancer endometrium

Correct answer: 4. Cancer endometrium

Explanation: Ans. is d, i.e. Cancer endometriumRef. Williams Obs. 25/e, p 578-579As discussed in text(i) Large baby with transverse lie necessitates classical cesarean(ii) In small fetus with breech, the poorly developed lower uterine segment provides inadequate space for manipulation needed for breech delivery.(iii) Fibroid is lower uterine segment are all indications of classical cesarean section. Cancer cervix but not cancer endometrium is an indication classical cesarean.